Which is true about Lipoma on USG, MRI & CT
1. it is hypoechoic,hypointense,hypodense
2. it is hyperechoic,hyperintense,hyperdense
3. it is hypoechoic,hypointense hyperdense
4. it is hyperechoic,hyperintense,hypodense

Correct answer: 4. it is hyperechoic,hyperintense,hypodense

Explanation: Fat is hyperechoic (white) on Ultrasound. Fat is hyperintense(white) on both T1 & T2 W MRI in modern MRI sequences. Fat is hypodense (black) on CT with Hurt of around -100 HU. On CT, lipomas are well-demarcated homogeneous masses of hypodensity (-90 to -150 HU). USG of lipoma of thigh CT axial view showing lipoma in right lateral aspect of neck. MRI T1 W image axial view showing lipoma in left cheek.